Acanthosis nigricans is seen in ?
1. Diabetes
2. GIT cancer
3. Hypothyroidism
4. All of the above

Correct answer: 4. All of the above

Explanation: Ans. is 'd' i.e., All of the above Acanthosis nigricans Acanthosis nigricans is a brown to black, velvety hyperpigmentation of the skin. It is usually found in body folds, such as posterior & lateral folds of neck, axilla, groin, umblicus, forehead. It typically occurs in individuals younger than 40 years of age. Histopathologically papillomatosis is characteristically seen; however, there is no hypermelanosis and there is only mild acanthosis, if present. It is associated with Obesity (most common) Endocrinopathies --> Hypothyroidism, hyperthyroidism, insuline resistance diabetes, Cushing's disease, PCOD, Bloom syndrome. Internal malignancy --> Gastric adenocarcinoma